Twenty-five children are chosen randomly from a school playground. Their heights are measured in 2 consecutive months. What statistical test could be used to test the hypothesis that their heights are not different in consecutive months?
1. Unpaired t-test
2. Paired t-test
3. Z-test
4. Regression

Correct answer: 2. Paired t-test

Explanation: Paired Sample T-Test The paired sample t-test, sometimes called the dependent sample t-test, is a statistical procedure used to determine whether the mean difference between two sets of observations is zero. In a paired sample t-test, each subject or entity is measured twice, resulting in pairs of observations. Common applications of the paired sample t-test include case-control studies or repeated-measures designs. Ref :